Which one of the following is the most common site of Berry aneurysm
1. Veebro-basilar aery
2. Origin of posterior communicating aery
3. Anterior communication aery
4. Anterior choroidal aery

Correct answer: 3. Anterior communication aery

Explanation: Location of cerebral aneurysms:Saccular aneurysms, AKA berry aneurysms are usually located on major named cerebral aeries atthe apex of branch points which is the site of maximum hemodynamic stress in a vessel. Moreperipheral aneurysms do occur, but tend to be associated with infection (mycotic aneurysms) ortrauma. Fusiform aneurysms are more common in the veebrobasilar system. Dissect ing aneurysmsshould be categorized with aerial dissect ion (p.1323).Saccular aneurysms location:1. 85-95% in carotid system, with the following 3 most common locations:a) ACoA (single most common): 30% (ACoA & ACA more common in males)b) p-comm: 25%c) middle cerebral aery (MCA): 20%2. 5-15% in posterior circulation (veebro-basilar)a) [?] 10% on basilar aery: basilar bifurcation, AKA basilar tip, is the most common, followed byBA-SCA, BA-VA junction, AICAb) [?] 5% on veebral aery: VA-PICA junction is the most common3. 20-30% of aneurysm patients have multiple aneurysms (p.1226) Ref; Greenberg handbook of neurosurgery, 8th ed, p-1191